Crescent forming glomerulonephritis is:-
1. MIPGN
2. MGN
3. RPGN
4. All of the above

Correct answer: 3. RPGN

Explanation: * Rapidly progressive glomerulonephritis : Characterized by progression to acute renal failure within 4 wks * Gross morphology : Flea bitten kidney is seen in : R - RPGN S - Subacute bact. Endocarditis M - Malignant Hypertension * Microscopic Examination : "Crescent Formation"- Proliferation of parietal epithelium + fibrin + WBC More the number of crescents - poorer the prognosis